Somatosensory cortex lesion will affect
1. Pain
2. Temperature
3. Localization
4. Vibration

Correct answer: 3. Localization

Explanation: Somatosensory cortex lesion- proprioception and tactile sensations are lost while pain and temperature sensations are preserved.